Charcot Leyden crystal are derived from?
1. Macrphages
2. Eosinophils
3. Basophils
4. Neutrophils

Correct answer: 2. Eosinophils

Explanation: Charcot-Leyden crystals are microscopic crystals consist of lysophospholipase (galectin-10), an enzyme synthesized by eosinophils, and are produced from the breakdown of these cells Reff: Robbins basics of pathology